Basal exudates, infarcts and hydrocephalus are findings observed in Brain imagine studies. The most likely diagnosis is
1. Tubercular Meningitis
2. Viral Meningitis
3. Herpes encephalitis
4. Cerebral Malaria

Correct answer: 1. Tubercular Meningitis

Explanation: Harrison's textbook of internal medicine 17th edition. *Imaging studies (MRI,CT scan) may show hydrocephalus and abnormal enhancement of basal cisterns or ependyma . *CT and MRI reveals contrast enhanced ring lesions ,but biopsy necessary to establish the diagnosis .